True about MgSO4:
1. Tocolytic
2. Used in Management of eclempsia
3. Cause neonatal respiratory depression
4. All of the above

Correct answer: 4. All of the above